Features of parkinsons disease-a) Decreased Blinkingb) Spasticityc) On-off phenomenond) Objective ↓ muscle powere) Tremor
1. acd
2. bde
3. cde
4. ace

Correct answer: 4. ace